The retromolar pad as a landmark is
1. Relatively unstable
2. Relatively stable
3. Variable
4. None of the above

Correct answer: 2. Relatively stable